Schizophrenia with early onset and poor prognosis is
1. Catatonic
2. Hebephrenic
3. Paranoid
4. Schizoaffective

Correct answer: 2. Hebephrenic

Explanation: B i.e. Hebephrenic